Contraindication for PA in ischemic stroke is
1. Clinical diagnosis of stroke
2. Systolic BP < 180 mm of Hg
3. Comatose patient
4. Onset of symptoms < 4.5 hours

Correct answer: 3. Comatose patient

Explanation: Contraindications for administration of Intravenous Recombinant Tissue Plasminogen Activator (PA ) for Acute Ischemic Stroke (AIS)Sustained BP >185/110 mmHg despite treatmentPlatelets <100,000; HCT <25%; glucose <50 or >400 mg/dLUse of heparin within 48 h and prolonged PTT, or elevated INRRapidly improving symptomsPrior stroke or head injury within3 months; prior intracranial haemorrhageMajor surgery in preceding 14 daysMinor stroke symptomsGastrointestinal bleeding in preceding21 daysRecent myocardial infarctionComa or stuporRef: Harrison 19e pg: 2562